Brucellosis can be transmitted by all EXCEPT
1. Contect with infected placenta
2. Ingestion of raw vegetables from infected farms
3. Person to person transmission
4. Inhalation of infected dust or aerosol

Correct answer: 3. Person to person transmission

Explanation: i.e. Person to person transmission * Brucellosis is a zoonotic disease (diseases that are transmitted from animals to man, under natural conditions)* It is caused by gram negative bacteria.* Its major reservoirs are infected cattle, sheep, goats, swine, buffaloes, horses and dogs.* The disease is transmitted from infected animals to man through 3 routes.a) Contact infection (most common route)- infection occurs by direct contact with infected tissues, blood, urine, vaginal discharge, aborted fetuses and placenta.- infection occurs through abraded skin, mucosa or conjunctiva.b) Food-borne infection- infection occurs by ingestion of raw milk or dairy products (cheese) from infected animals,- by ingestion of raw vegetables infected directly or indirectly from animals,- by ingestion of contaminated water.c) Air-borne infection- infection occurs by inhalation of infected dust or aerosols."There is no evidence of transmission from man to man."